In emergency caesarian section rapid induction of anaesthesia is done to –
1. Prevent gastric aspiration
2. Prevent fetal depression
3. To decrease awareness
4. All of the above

Correct answer: 1. Prevent gastric aspiration

Explanation: Rapid sequence induction is given for emergency surgery and patient has full stomach. Therefore, the objective of rapid sequence anaesthesia is to secure the airway rapidly and prevent aspiration of gastric contents.